Secretomotor fibres to Lacrimal gland relay in
1. Otic ganglion
2. Pterygopalatine ganglion
3. Geniculate ganglion
4. trigeminal ganglion

Correct answer: 2. Pterygopalatine ganglion